Treatment of serous otitis media is -
1. Observation
2. Adenoidectomy
3. Grommet insertion
4. All of the above

Correct answer: 4. All of the above

Explanation: Ans. is 'd' i.e., All of the above Treatment of serous otitis media* Following two treatments have been described : -1) Watchful waiting# Watchful waiting is the active monitoring of the condition and hearing in anticipation of spontaneous resolution. Guidlines aimed at both primary care and specialist otolaryngologist broadly agree that a watchful waitin period for about three months is the initial management of children with serous otitis media. Therefore, unless there are also signs of an infection, most health care providers will not treat SOM at first Instead, they will recheck the problem in 2-3 months. This should be coupled with reassurance that doing nothing is as likely as doing something to result in resolution of the SOM and the associated symptoms.2) Surgery# Surgicalinterventionisrecommendedwhenwatchfulwaitingandmonitoringofhearinghasconfirmedfailure of resolution of SOM. Following surgical intervention are used commonly: -i) Myringotomy and aspiration of fluid: -An incision is made in tympanic membrane and fluid aspirated with suction.ii) Grommet (ventilation tube) surgery: - If myringotomy and aspiration combined with medical measures has not helped and fluid recurs, a grommet is inserted to provide continued aeration of middle ear. This is the most common surgical intervention for SOM. Most prefered site of grommet insertion is antero-inferior through a circumferential or radial incision.iii) Surgical treatment of causative factorAdenoidectomy, tonsillectomy etc.